A child from West Bengal presents with fever & unconsciousness for 1 day and pallor with no focal neurodeficit. What is the most probable diagnosis?
1. Cerebral malaria
2. Viral encephalitis
3. Pyomeningitis
4. Tubercular meningitis

Correct answer: 1. Cerebral malaria

Explanation: Cerebral malaria due to Plasmodium falciparum: Acute onset of fever, anemia with altered sensorium in an endemic area suggests cerebral malaria Viral encephalitis- fever, vomiting, diarrhea, seizures, behavioral changes, drowsiness, and coma Pyomeningitis- Fever, headache, stiff neck Tubercular meningitis-Fever, headache, stiff neck, neurological deficit